Ulnar paradox is seen in -
1. High ulnar nerve palsy
2. Low ulnar nerve palsy
3. Combined median and ulnar nerve palsy
4. Guyons Canal entrapment of ulnar nerve

Correct answer: 1. High ulnar nerve palsy

Explanation: Ans. is 'A' i.e.,Ulnar paradoxo Ulnar claw hand is seen in lower ulnar nerve palsy, not in high ulnar nerve palsy. It is called the ulnar paradoxo This is because in higher lesions long finger flexors (FDP of 3rd & 4th finger) are also paralyzed - IP joint flexion does not occur and therefore claw hand deformity is not seeno So,# Claw hand is due to - Paralysis pf intrinsic muscles (lumbricals & interossei)# The ulnar paradox is due to - Paralysis of medial half of FDP and ulnar claw hand does not occur in high ulnar nerve palsy.